Adenoma sebaceum is a feature of:
1. Neurofibromatosis
2. Tuberous sclerosis
3. Xanthomatosis
4. Incontinenetia pigmenti

Correct answer: 2. Tuberous sclerosis

Explanation: B i.e. Tuberous sclerosis